After splenectomy, most common infection ?
1. Pneumococcal
2. E. coli
3. Klebsiella
4. Streptococcus

Correct answer: 1. Pneumococcal

Explanation: Ans. is 'a' i.e., Pneumococcal The most serious consequence of splenectomy is increased susceptibility to bacterial infections, particularly those with capsules such as Str. pneumoniae (Most common) H. influenzae Gram negative enteric organisms Splenectomized patients are also more susceptible to parasitic disease babesiosis. There is no increased risk of viral infection after splenectomy.